DIC is common in which AML?
1. Nonocytic (M5)
2. Promyelo cytic (M3)
3. Erythrocytic (M6)
4. Megakaryocytic (M7)

Correct answer: 2. Promyelo cytic (M3)

Explanation: Ans. is 'b' i.e., Promyelocytic (M3) o Tumor cells in acute promyelocytic leukemia (M3) release procoagulant and fibrinolytic factors that cause disseminated intravascular coagulation (DIC).